Indication for intramuscular iron therapy is :
1. Pregnancy
2. Postpartum period
3. Emergency surgery
4. Oral iron intolerance

Correct answer: 4. Oral iron intolerance